Local anesthetics act by blocking
1. Na+ channels from outer side
2. K+ channels from outer side
3. Na+ channels from inner side
4. K+ channels from inner side

Correct answer: 3. Na+ channels from inner side

Explanation: Local anesthetics are weak bases that peneterate cell membrane in unionized form and within the cell membrane in ionized form they block voltage gated Na+ Channels.